Cushing phenomenon is
1. Low BP and high heart rate
2. High BP and heart rate
3. Low BP and low heart rate
4. High BP and low heart rate

Correct answer: 4. High BP and low heart rate

Explanation: Cushing reflex (also referred to as the vasopressor response, the Cushing effect, the Cushing reaction, the Cushing phenomenon, the Cushing response, or Cushing's Law) is a physiological nervous system response to increased intracranial pressure (ICP) that results in Cushing's triad of increased blood pressure Ref: guyton and hall textbook of medical physiology 12 edition